CSF does not pass through ?
1. Ventricles
2. Venous sinuses
3. Epidural spaces
4. Subarachnoid space

Correct answer: 3. Epidural spaces

Explanation: C i.e. Epidural space